"Cork screw appearance" is characteristic of?
1. Carcinoma esophagus
2. Hypertrophic pyloric stenosis
3. Diffuse esophageal spasm
4. Sigmoid volvulous

Correct answer: 3. Diffuse esophageal spasm

Explanation: ANSWER: (C) Diffuse esophageal spasmREF: Wofganag 5th e p. 846/748SignDiseaseRat tail appearanceCarcinoma esophagusBird beak appearanceAchalasiaBeak sign/ double track/ tram trackHyper trophic pyloric stenosisMedusa head colonies on CTRound wormPincer/daw/coiled spring/target/ meniscus signIntussceptionCoffee bean signSigmoid volvulousLead pipe appearanceUlcerative colitisString of kantor/bulTs eyeChron's diseaseThumb printing signIschemic colitisSaw tooth appeance on barium enemaDiverticulosisApple core signCarcinoma colonCork scretv appearanceDiffuse esophageal spasmString signHypertrophic pyloric stenosis